Which of the following test is used to diagnose congenital dislocation of hip?
1. Ortolani test
2. Cozen's test
3. McMurray's test
4. None of the above

Correct answer: 1. Ortolani test

Explanation: Ortolani and Barlows test are used to diagnose congenital dislocation of hip. Cozen's test is positive in tennis elbow. McMurray's test is used to detect meniscus injury. Reference: Essential Orthopaedics By J Maheswari, 3rd edition page 201.